Which complex in mitochondrial ETC does not pump out H ions ?
1. Complex I
2. Complex II
3. Complex III
4. Complex IV

Correct answer: 2. Complex II

Explanation: Complex II Complex II does not act as proton (H+) pump.Complex I: NADH CoQ-reductase Permit ATP formation (Site I) Act as proton pumpComplex II: Succinate Co() rcductase No ATP formComplex CoQ - cytochrome - C reductase Permit ATP formation (Site II) Act as proton pumComplex IV: Cytochrome C oxidase Permit ATP formation (Site III) Act as proton pump